Phrynoderma is NOT due to deficiency of
1. Essential fatty acids
2. Vit A
3. Vit D
4. Vit B

Correct answer: 3. Vit D

Explanation: PHRYNODERMA(toad-skin disease):- May be a manifestation of vitamin A deficiency, though it may also be due to deficiency of essential fatty acids and even vitamin B. Manifests as rough, hyperkeratotic follicular papules around elbows and knees. Ref:- NEENA KHANNA; pg num:- 391